Allopurinnl is used in the treatment of -
1. Gout
2. Hypothyroidism
3. Hypertension
4. Hyperlipidemia

Correct answer: 1. Gout

Explanation: Ans. is 'a' i.e., GoutTreatment of GoutSteroidsDrugs decreasingDrugs increasingDrugs increasingsynthesis of uric acidexcretion of uric acidmetabolism of uric acidPurineNon- purineSulfinpyrazonePegloticaseAllopurinolFebuxostatBenzbromaneo It is a hypoxanthine analog,o Inhibits enzyme xanthine oxidaseo Allopurinol is metabolized by xanthine oxidase to alloxanthine which is a long acting inhibitor of xanthine oxidase,o It is used in chronic gout (in the inter-critical period between two attacks) and with anticancer drugs(to decrease secondary hyperuricemia).o Allopurinol alongwith sodium stibogluconate is used in the treatment of kala azar.